All physiological processes occur during the growth at the epiphyseal plate except
1. Proliferation & hypertrophy
2. Calcification & ossification
3. Vasculogenesis & erosion
4. Replacement of red bone marrow with yellow marrow

Correct answer: 4. Replacement of red bone marrow with yellow marrow

Explanation: O As the growth plate is ossified, it receives vascular buds & Vasculogenesis occurs, the new blood vessels helping the metaphyseal artery to anastomose with the epiphyseal artery. o Thus, metaphyseal artery are no more termed as end- artery in an adult o Erosion of bone keep happening by the osteoclast cells, which help in enlarging the marrow cavity